All of the following are components of the Kuppuswamy's scale except:
1. Education
2. Maternal mortality
3. Occupation
4. Family income

Correct answer: 2. Maternal mortality

Explanation: Ans. B: Maternal mortality Measuring the Socioeconomic Status of a Family. In Indian studies, the classification of British Registrar General based on occupation was tried earlier. Later on Prasad's classification of 1961 based on per capita monthly income and later modified in 1968 and 1970 has been extensively used. Now a days Kuppuswamy's scale is widely used to measure the socio-economic status of an individual in urban community based on three variables namely education, occupation and income. The modification of Kuppuswamy scale is meant to determine the socioeconomic status of family based on education and occupation of head of the family and per capita income per month has also been widely used. Recently, Mishra et al have suggested an economic revision of Kuppuswami's scale in order to account for the devaluation of rupee. In the rural areas, Pareekh classification based on nine characteristics namely caste, occupation of family head, education of family head, level of social participation of family head, landholding, housing, farm power, material possessions and type of family. The present instrument is proposed to measure the socio-economic status of the family and is neither based on the individual nor on the head of the family.